Cherry red spot is seen in
1. Tay Sach's disease
2. Batten Mayous disease
3. von Gerkie's disease
4. Mucopolysaccharidosis

Correct answer: 1. Tay Sach's disease

Explanation: (A) Tay Sach's disease # CHERRY RED SPOT is seen in central retinal artery occlusion, Tay-Sach's disease, Niemann-Pick's disease, Gaucher's disease and Berlin's oedema.